Breast is a ?
1. Endocrine gland
2. Modified sweat gland
3. Modified sehaceous gland
4. Holocrine gland

Correct answer: 2. Modified sweat gland

Explanation: Breast is a modified sweat gland. It is apocrine type of sweat gland.